Maximum water reabsorption in the Gastrointestinal tract occurs in:
1. Stomach
2. Jejunum
3. Ileum
4. Colon

Correct answer: 2. Jejunum

Explanation: B i.e. Jejunum